Uterine artery is a branch of :
1. Aorta
2. Common iliac
3. Internal iliac
4. External iliac

Correct answer: 3. Internal iliac

Explanation: lnternal iliac